Why is Clopidogrel preferred over Ticlodipine?
1. Cost
2. Drug interaction
3. Side effect
4. Efficacy

Correct answer: 3. Side effect

Explanation: (C) Side effect# TICLOPIDINE like clopidogrel, it is an adenosine diphosphate (ADP) receptor inhibitor.> Clopidogrel due to simpler dosing regimen, the absence of neutropenia, bone marrow aplasia and the lower frequency of other side effects make it a safe alternative to ticlopidinel.